Retinal detachment in Eale's disease is
1. Exudative RD
2. Tractional RD
3. Rhegmatogenous RD
4. All of the above

Correct answer: 2. Tractional RD

Explanation: Tractional RD  - Eale's disease ,Trauma,Sickle cell retinopathy.